Gap in the time interval of between the onset of primary and secondary case is
1. Serial interval
2. Incubation period
3. Generation time
4. Onset period

Correct answer: 1. Serial interval

Explanation: Ans. a (Serial interval) (Ref. Park Textbook of PSM 22nd/pg. 96)TermDefinition1.Serial Interval# Time gap between onset of primary and secondary case. It is the measure of incubation period.2.Lead Time# It is advantage gained by screening, i.e., period between diagnosis by early detection and diagnosis by other means.# It is period between the possible time of detection and possible time of diagnosis.3.Latent Period# Latent period is the period from disease initiation to disease detection or It is time between exposure to a risk factor and subsequent development of clinical manifestations of a particular disease.4.Screening Time# Interval between first clinical detection and final critical point.5.Primary case# First case in community6.Index case# First case detected in community. May or may not be primary case.7.Incubation period# The time interval between invasion by an infectious agent and appearance of the first sign or symptom of the disease.8.Generation time# The interval of time between receipt of infection by a host and maximal infectivity of that host.9.Communicable period# The time during which an infectious agent may be transferred directly or indirectly from an infected person to another person, from an infected animal to man, or from infected man to an animal including arthropod.10.Secondary attack rate# The number of exposed persons developing the disease within the range of the incubation period, following exposure to primary case.11.Median incubation period# The time required for 50% of the cases to occur following exposure.